Pyruvate can be a substrate for
1. Fatty acid synthesis
2. TCA cycle
3. Cholesterol synthesis
4. All of the above

Correct answer: 4. All of the above

Explanation: Ans. is 'd' i.e., All of the abovePyruvatea It is a degradation product of glucose (glycolysis) and glycogenic aminoacids. It can be converted to glucose (gluconeogenesis through oxaloacetate) and acetyl CoA (therefore all biosynthetic products which arise from acetyl CoA)